Diatom test is to determine death due to:
1. Drowning
2. Strangulation
3. Hanging
4. Burns

Correct answer: 1. Drowning

Explanation: A i.e. Drowning Diatoms test & Gettler's testQ are for drowning deaths. Cutis anserina (goose skin), Washerwoman hand & Paltauf's haemorrhageQ are seen in drowning. Gettler's testQ is also for drowning.